At the onset of puberty the testicular size reaches?
1. 2 ml
2. 4 ml
3. 8 ml
4. 12 ml

Correct answer: 2. 4 ml

Explanation: At the onset of puberty the testicular size reaches 4 ml volume or 2.5 cm length.